True about mosquito preventive nets are all except?
1. Hole size < 0.0475
2. 150 holes per square inch
3. Best pattern in circular
4. There should be no rent

Correct answer: 3. Best pattern in circular

Explanation: Ans. is 'c' i.e.,Best pattern is circular The best pattern of mosquito net is the rectangular net.There should not be a single rent in the net.The Size of openings in the net is of utmost importance, the size should not exceed 0.0475 inch in any diameter.The number of holes in one square inch in usually 150..